While examining radiographs and angiograms of a 52-year-old patient, a physician is trying to distinguish the jejunum from the ileum. He has observed that the jejunum has:
1. Fewer plicae circulares
2. Fewer mesenteric arterial arcades
3. Less digestion and absorption of nutrients
4. Shorter vasa recta

Correct answer: 2. Fewer mesenteric arterial arcades

Explanation: The jejunum has fewer mesenteric arterial arcades but longer vasa recta than the ileum. The plicae circulares (circular folds) are tall and closely packed in the jejunum and are low and sparse in the ileum, and the lower part of the ileum has no plicae circulares. More digestion and absorption of nutrients occurs in the jejunum than in the ileum, and less fat is found in the mesentery of the jejunum.